Rabbies is identified by -
1. Guarneri bodies
2. Negri bodies
3. Cowdry A bodies
4. Cowdry B bodies

Correct answer: 2. Negri bodies

Explanation: Diagnosis may be made postmortem by demonstration of Negri bodies in the brain but may be absent in about 20% of cases. REF:ANANTHANARAYAN AND PANIKER'S TEXTBOOK OF MICROBIOLOGY 9TH EDITION PAGE NO-533